IUI is indicated for all except:
1. Male factor infertility
2. Erectile dysfunction
3. Tubal factors
4. Cervical factor

Correct answer: 3. Tubal factors

Explanation: Ans. C. Tubal factorsIUI (Intra-uterine insemination)Indicationsa. Male factor infertility (sperm counts between 5 and 15million/mL). If sperm count is less than 5million/mL,b. IUI is ineffectivec. Unexplained infertility (treatment of choice is superovulation + IUI)d. Antisperm Antibody in cervical mucuse. Erectile dysfunction/impotencyf. Semen deposition problem (epispadias/hypospadias/penile deformities)g. Vaginismush. Retrograde ejaculation (Immediate postcoital urine is collected. Semen is then separated from urine).